All are good prognostic factors in Neuroblastoma except
1. Stage 45
2. Trk A expression
3. Trk B expression
4. Age of 1 year

Correct answer: 3. Trk B expression

Explanation: Trk B expression is associated with poor prognosis.
Trk A expression is associated with Good prognosis.